Visual center is present in-
1. Parietal lobe
2. Occipital lobe
3. Frontal lobe
4. Temporal Lobe

Correct answer: 2. Occipital lobe

Explanation: Ans. is 'b' i.e., Occipital lobe * Occipital lobe has the following areas related to visioni) Primary visual cortex (strike area, area 17) : It is present in medial surface of occipital lobe on upper lip and lower lip of calcarine sulcus.ii) Visual association areas (secondary visual area, areas 18, 19) : It include parastriate (area 18) and peristriate (area 19) areas of occipital lobe. It also contains occipital eye field on lateral surface.